Validity of a test is based upon all except -
1. Sensitivity
2. Specificity
3. Precision
4. Accuracy

Correct answer: 3. Precision

Explanation: → Precision stands for repeatability (not validity).